Which of the following statement is not true about cadaveric spasm -
1. It indicates the mode of death
2. It appears instantaneously after death
3. All muscles of the body are involved
4. Great force is required to overcome it

Correct answer: 3. All muscles of the body are involved

Explanation: Cadaveric spasm involves a group of muscles.